Boys over 16 years who are too difficult to be handled in a certified school or have misbehaved there are sent to a: -
1. Remand home
2. Borstal
3. Foster home
4. Any of the above

Correct answer: 2. Borstal

Explanation: Boys over 16 years who are too difficult to be handled in a certified school or have misbehaved there,are sent to borstals REF.PARK'S TEXTBOOK OF PREVENTIVE AND SOCIAL MEDICINE.Editon-21.Page no.-543